A patient has a systolic/diastolic blood pressure of 130/70 mmHg and a cardiac output of 5 L/min. What is his total peripheral resistance?
1. 18 mm Hg.min/L
2. 20 mm Hg.min/L
3. 22 mm Hg.min/L
4. 0.5 L/min.mm Hg

Correct answer: 1. 18 mm Hg.min/L

Explanation: Flow=pressure difference/resistance. If central venous pressure is negligibly small compared to mean arterial pressure, we can calculate the peripheral resistance from the data given. The key in obtaining a correct answer is being able to determine mean arterial pressure from systolic pressure Ps and diastolic blood pressure PD. Because of the particular shape of the pressure curve, this is not simply the arithmetic mean, but rather PD+1/3(Ps-PD), ie, 70+20=90 mm Hg Therefore, resistance+90 mm Hg/5 L/min=18 mm Hg.min/L